The vitamin A supplement administered in "Prevention of nutritional blindness in children programme" contain -
1. 25,000 i.u\/ml
2. 1 lakh i.u\/ml
3. 3 lakh i.u\/ml
4. 5 lakh i.u\/ml

Correct answer: 2. 1 lakh i.u\/ml

Explanation: parks textbook of preventive and social medicine 23rd edition. * under national programme for prevention od nutritional blindness,beneficiaries were preschol children (1-5years ) it focussed on administration of massive dose vitamin A upto five years .first dose of 100,000 IU with measles vaccination at nine months and subsequent doses of 200,000 IU each,every six months upto the age of five years .